Over expression of InhA gene can lead to cross resistance of Isoniazid with:
1. Rifampicin
2. Ethambutol
3. Ethionamide
4. PAS

Correct answer: 3. Ethionamide

Explanation: InhA gene overexpression can lead to cross resistance of Isoniazid with Ethionamide.
KatA gene mutation : Severe form of Isoniazid resistance.